Drug of choice for the treatment of a pregnant woman with P vivax malaria is :
1. Quinine
2. Chloroquine
3. Artemether
4. Paracetamol

Correct answer: 2. Chloroquine